Laryngospasm under anaesthesia can be relieved by:
1. Aminophylline
2. Salbutamol
3. Terbutaline
4. Succinylcholine

Correct answer: 4. Succinylcholine

Explanation: Suxamethonium is depolarizing relaxant, used to revert the spasm under anaesthesia.